Which of the following is/are true about the gait in sensory deficit
1. Antalgic gait
2. Apraxia
3. Trendelenburg
4. Positive Romberg sign

Correct answer: 4. Positive Romberg sign

Explanation: Ans. d. Positive Romberg signIn sensory ataxia the patient is able to maintain the upright position while the eyes are open, but when the eyes are closed he sways. This is a positive Romberg sign. ABNORMAL GAIT:Antalgic gait: occurs in painful conditions of the lower limb .Charlie-Chaplin gait: Occurs in tibial torsion.Circumduction gait: Occurs in hemiplegiaWaddling gait: Occurs in bilateral congenital hip dislocationHigh stepping gait: Occurs in foot dropScissoring gait: Occurs in cerebral palsyStiff hip gait: Occurs in ankylosis of the hipTrendelenburg gait: Occurs in unstable hip due to congenital dislocation of hip, gluteus medius muscle weakness